Treatment of extragonadal germ cell tumour is -
1. Chemotherapy
2. Radiotherapy
3. Surgery
4. Immunotherapy

Correct answer: 1. Chemotherapy

Explanation: Chemotherapy of extragonadal GCT utilizes BEP regimen; a combination of

Bleomycin &
Etoposide
Cisplatin (Platinol)